Sentinel lymph node biopsy is used for ?
1. Melanoma
2. Basal cell carcinoma
3. Squamous cell carcionoma
4. Thyroid carcinoma

Correct answer: 1. Melanoma

Explanation: Ans. is 'a' i.e., Melanoma Sentinel lymph node biopsy is used for breast carcinoma and melanoma.